Toxic megacolon is most commonly associated with-
1. Ulcerative colitis
2. Crohn's disease
3. Whipple's disease
4. Reiter's disease

Correct answer: 1. Ulcerative colitis